Biophysical profile includes all except-
1. NST
2. Muscle tone
3. Amniotic fluid
4. Acetyl choline level

Correct answer: 4. Acetyl choline level

Explanation: Ans. is 'd' i.e., Acetyl choline level Biophysical profile scoring Observation for 30 minutes Normal score =2Abnormal =0ParametersMinimal normal criteriaScoreNon stress test (NST)Reactive pattern2Fetal breathing movements1 or more episode lasting > 30 sec2Gross body movements3 or more discrete body/limb movements2Fetal muscle tone1 or more episode of extension (limb or trunk) with return to flexion2Amniotic fluid1 or more pocket measuring 2 cm in two perpendicular planes (2x2 cm pockets)2BPP scoring, interpretation, managementBPP ScoreInterpretationManagement8-10No fetal asphyxiaRepeat testing at weekly interval or more6Suspect chronic asphyxiaIf > 36 wks - deliver; but if L/S <2.0, repeat test in 4-6 hrs4Suspect chronic asphyxiaIf > 36 wks - deliver, if < 32 w'ks, repeat testing in 4-6 hrs0-2Strongly suspect asphyxiaTest for 120 min - persistent score 4 or less - deliver regardless of gestational ageModified BPPo Consists ofNST & ultrasonographically determined Amniotic fluid index (AFI).o It is considered abnormal (nonreassuring) when NST is non-reactive and / or the AFI is <5.